Refractive index of vitreous humor ?
1. 1
2. 30-Jan
3. 14
4. 1.336

Correct answer: 4. 1.336

Explanation: Ans. is 'd' i.e., 1.336